Under the WHO 'Vision 2020' programme, the 'SAFE' strategy is adopted for which of the following diseases?
1. Trachoma
2. Glaucoma
3. Diabetic retinopathy
4. Onchocerciasis

Correct answer: 1. Trachoma

Explanation: Elimination of blindness due to trachoma is considered feasible (eradication of trachoma is not possible) by SAFE strategy. S-surgery to correct lid deformity & prevent blindness A-antibiotic for acute infection & community control F-facial hygiene E-Environmental change & health education WHO has organized an alliance for global elimination of trachoma by the year 2020. Ref: Clinical Ophthalmology : Contemporary Perspectives By A. K. Gupta, V. Krishna, 9th Edition, Page 771 Elimination of blindness due to trachoma is considered feasible (eradication of trachoma is not possible) by SAFE strategy. S-surgery to correct lid deformity & prevent blindness A-antibiotic for acute infection & community control F-facial hygiene E-Environmental change & health education WHO has organized an alliance for global elimination of trachoma by the year 2020. Ref: Clinical Ophthalmology : Contemporary Perspectives By A. K. Gupta, V. Krishna, 9th Edition, Page 771